Treatment of a large hydrocele in an infant:
1. Repeated aspirations
2. Ligation of sac at the opening of inguinal canal
3. Herniotomy
4. Eversion of sac

Correct answer: 3. Herniotomy

Explanation: Ans: c (Herniotomy)Ref: Bailey & Love, 24th ed, p. 1408 & 23rd ed, p. 1275